Samters triad is seen in patients with -
1. Asthma
2. Chronic pancreatitis
3. Crohn's disease
4. Liver cell carcinoma

Correct answer: 1. Asthma

Explanation: Ans. is 'a' i.e.. Asthma [Ref: Dhingra 5th/ep. /55jSamter's triado Samter's triad is a medical condition consisting of asthma, aspirin sensitivity, and nasal/ethmoidal polyposis. It occurs in middle age (twenties and thirties are the most common onset times) and may not include any allergies.o Most commonly, the first symptom is rhinitis.o The disorder typically progeses to asthma, then polyposis, writh aspirin sensitivity coming last,o The aspirin reaction can be severe, including an asthma attack, anaphylaxis, and urticaria in some cases. Patients typically react to other NSA1DS such as ibuprofen, although paracetamol is generally considered safe,o Anosmia (lack of smell) is also typical, as the inflammation reaches the olfactory receptors in the nose.